Hormones secreted by adrenal medulla are:
1. Glucagons
2. Cortisol
3. Norepinephrine
4. Insulin

Correct answer: 3. Norepinephrine

Explanation: C i.e. Norepinephrin